Irresistible desire to buy something is
1. Mutilomania
2. Dipsomania
3. Oniomania
4. Trichotilomania

Correct answer: 3. Oniomania

Explanation: Oniomania Irresistible desire to buy things (shopping addiction) Ref: FORENSIC MEDICINE AND TOXICOLOGY Dr PC IGNATIUS THIRD EDITION PAGE 360